1st sign after formocresol pulpotomy failure is
1. Internal resorption
2. Pain
3. Discoloration of tooth
4. Bleeding

Correct answer: 1. Internal resorption